All of the following are derivatives of neutral crest except
1. Melanocytes
2. Astrocytes
3. Schwann cells
4. Meninges

Correct answer: 2. Astrocytes

Explanation: HUMAN EMBRYOLOGY-INDERBIR SINGH TENTH EDITION-PAGE NO:116